Inability to perform physical activity with discomfort falls under-
1. NYHAclassl
2. 2
3. 3
4. 4

Correct answer: 4. 4

Explanation: Ref: KV Krishna Das - Clinical Medicine 4th Edition pg no:170 NYHA Functional Classification Class I Dyspnea occurring at heavy, but accustomed activity Class II Dyspnea occurring on moderate exertion Class III Dyspnea during mild exertion or during daily routine activities Class IV Dyspnea even at rest.